One of the following is used for sex chromatin testing
1. Barr body
2. Testosterone receptors
3. Hormone levels
4. Phenotypic features

Correct answer: 1. Barr body

Explanation: Chromosomal sex can be determined by the study of the leucocytes or by simply taking a smear from the buccal mucosa
The nuclei of the female chromosome contain a stainable body called the sex chromatin, hence female cells are termed as chromatin positive.
In epithelial cell nuclei, this small peripherally situated darkly staining nodule is called Barr body

Male cell nuclei lack this body and termed chromatin negative.